Othello syndrome is?
1. Delusion of persecution
2. Delusion of Grandeur
3. Delusion of Infidelity
4. Delusion of Doubles

Correct answer: 3. Delusion of Infidelity

Explanation: ANSWER: (C) Delusion of InfidelityREF: Kaplan and sadock's 10th edition page 508Delusional disorder with delusions of infidelity has been called conjugal paranoia when it is limited to the delusion that a spouse has been unfaithful. The eponym Othello syndrome has been used to describe morbid jealousy that can arise from multiple concerns. The delusion usually afflicts men, often those with no prior psychiatric illness. It may appear suddenly and serve to explain a host of present and past events involving the spouse's behavior. The condition is difficult to treat and may diminish only on separation, divorce, or death of the